An upper anterior inclined plane provides:
1. Intramaxillary anchorage
2. Reinforced anchorage
3. Absolute anchorage
4. Reciprocal anchorage

Correct answer: 2. Reinforced anchorage

Explanation: Reinforced Anchorage  

It involves reinforcing the anchorage or resistance area either by adding more resistance units or by the use of various adjuncts.
A simple way of reinforcing anchorage is to band the second molars.
Various other ways include, the use of T.P.A., Nance holding arch, lower lingual arch.
Tissue anchorage such as obtained by lip bumper can be efficiently used to distalize molars.

This is obtained by various means namely:

Extraoral force to augment anchorage.
Upper anterior inclined plane & SVED appliance
Transpalatal arch.

Textbook of ORTHODONTICS Sridhar Premkumar